A 15 year old boy has bilateral optic atrophy, diabetes mellitus and diabetes insipidus. The diagnosis is-
1. Kjer syndrome
2. Behr syndrome
3. Wolfram syndrome
4. None

Correct answer: 3. Wolfram syndrome

Explanation: The Wolfram syndrome is a hereditary optic atrophy. It presents between the ages of 5-21 years. This is also referred to as "DIDMOAD" i.e. Diabetes Insipidus, Diabetes Mellitus, Optic Atrophy and Deafness.